Which is the investigation of choice in assessing hearing loss in neonates -
1. Impedance audiometry
2. Brainstem Evoked Response Audiometry (BERA)
3. Free field audiometry
4. Behavioral audiometry

Correct answer: 2. Brainstem Evoked Response Audiometry (BERA)

Explanation: Remember in children and infants:

Best screening test for detecting hearing loss-Otoacoustic emission
Best confirmatory test is BERA.
OAE is considered as best screening test as it is less time consuming, easy to perform, child does not need to be sedated and results are available immediately
Absent OAE indicates cochlear lesion.
If OAE are absent child is taken up for BERA which is confirmatory.